The ultrasonic scaler dislodges only calculus that
1. has been formed recently
2. is already loose
3. is in direct contact with the tip
4. is located on the interproximal surfaces

Correct answer: 3. is in direct contact with the tip